ESI act was made in -
1. 1946
2. 1948
3. 1952
4. 1954

Correct answer: 2. 1948

Explanation: - the ESI act passed in 1948 is an important measure of social security and health insurance in the country. - it provides for certain cash and medical benefits to industrial employees in case of sickness, maternity and employment injury. Reference : Park's textbook of preventive and social medicine, 23rd edition, pg no: 815